What is the half-life of p53 protein in normal cells?
1. 20 minutes
2. 60 minutes
3. 12 hours
4. 1 day

Correct answer: 1. 20 minutes

Explanation: In non stressed, healthy cells, p53 has a short half-life (20 minutes), because of its association with MDM2, a protein that targets it for destruction. When the cell is stressed, for example by an assault on its DNA, p53 undergoes post-transcriptional modifications that release it from MDM2 and increase its half-life. Unshackled from MDM2, p53 also becomes activated as a transcription factor. Ref: Robbins 8th edition Chapter 7.